Vitamin D is absent in -
1. Egg
2. Milk
3. Fish fat
4. None

Correct answer: 4. None

Explanation: Ans. is 'None' Sources of Vit D :a) Sunlight - Vit D is synthesised by body by the action of UV rays or 7-dehydro cholestrolb) Foods - only of animal origini) Liverii) Egg yolkiii) Milk, butter, cheeseiv) Fish fatv) Fish liver oils (richest source)